All are transudates except -
1. Uremic pleuritis
2. Superior vena cava obstruction syndrome
3. Nephrotic syndrome
4. Congestive heart failure

Correct answer: 1. Uremic pleuritis

Explanation: Transudate which is more often the case, such as in edema of cardiac and renal disease; or Exudate such as in inflammatory edema HARSH MOHAN Textbook of pathology 6th edition pg no 96